Causes of polyhydraminos include:a) Diabetes mellitusb) Preeclampsiac) Esophageal atresiad) Renal agenesise) Anencephaly
1. acd
2. bde
3. cde
4. ace

Correct answer: 4. ace

Explanation: Friends, for a second - let’s forget the lists of conditions leading to Oligohydramnios/Polyhydramnios (This happens quite often in exams).
Let’s reason out each option one by one.
Option “a” Diabetes mellitus
We all know polyhydramnios is a complication of maternal diabetes.
Pathophysiology:
Maternal hyperglycemia
↓
Fetal hyperglycemia
↓
Polyuria (of fetus) and osmotic diuresis
↓
Polyhydramnios (Option “a” is correct)
Option “b” Preeclampsia
Preeclampsia
↓
Decreased uteroplacental circulation
↓
Decreased fetal renal blood flow
↓
Decrease urine production by fetus
↓
Oligohydramnios
Option “c” Esophageal atresia
We all know - Amniotic fluid is kept in balance with the rate of production, by fetal swallowing of amniotic fluid.
In case of oesophageal atresia
↓
Decrease fetal swallowing
↓
i.e., Decrease absorption
↓
Polyhydramnios (option “c” is correct)
Same is the case with congenital diaphragmatic hernia/Facial clefts/Neck masses.
Option “d” Renal agenesis
Renal agenesis
↓
Decrease urine production
↓
Oligohydramnios (Option “d” is incorrect)
Same holds good for posterior urethral value in males.
Option “e” Anencephaly
In anencephaly (or meningomyelocele or spina bifida)
↓
Meninges are exposed
↓
Increase transudation of fluid from exposed meninges
↓
Polyhydramnios (Option “e” is correct)
So friends, it is not essential to mug up most of the causes of oligo/polyhydramnios.
Some causes which need to mugged up are: